True about Glue ear
1. Is painful
2. Is painless
3. Radical mastoidectomy is required
4. NaF is useful

Correct answer: 2. Is painless

Explanation: Glue ear is a painless and nonpurulent effusion of middle ear cleft. It occurs due to malfunctioning of the eustachian tube and increased secretory activity of middle ear mucosa. It can be controlled by decongestants and middle ear aeration. The surgical method of correction is by myringotomy with the aspiration of fluid and grommet insertion. Ref: PL Dhingra 7th edition of Ear, Nose and Throat; Pg no 69